All of the following are causes of Transdative pleural effusion Except:
1. Nephrotic syndrome
2. Rheumatoid arthritis
3. Constrictive pericarditis
4. Myxedema

Correct answer: 2. Rheumatoid arthritis

Explanation: Answer is B (Rheumatoid arthritis):